What is the surgery of choice for diffuse type of choledochal cyst
1. Resection and repair
2. Rouxeny hepaticojejunostomy
3. Liver transplant
4. Observation

Correct answer: 2. Rouxeny hepaticojejunostomy

Explanation: Diffuse dilatation of the CBD is treated with resection and roux en y hepaticojejunostomy